All are risk factors for the development of surgery associated chronic kidney disease, EXCEPT:
1. Older age
2. CCF
3. Emergency procedures
4. Spinal anaesthesia

Correct answer: 4. Spinal anaesthesia

Explanation: Common risk factors for postoperative AKI include 1. Underlying chronic kidney disease, 2. Older age, 3. Diabetes mellitus, 4. Congestive heart failure 5. Emergency procedures. Cardiopulmonary bypass is a hemodynamic state characterized by nonpulsatile flow and exposure of the circulation to extracorporeal circuits. Longer duration of cardiopulmonary bypass is a risk factor for AKI. Ref: Harrison-E-18, P-2296.